The relationship of mean height of two group of children is best studied by-
1. Student's test
2. Linear regression
3. Chi-square test
4. Test of proportions

Correct answer: 1. Student's test